Metabolic abnormality seen in congenital hypertrophic pyloric stenosis is?
1. Hypochloremic hypokalemic metabolic alkalosis
2. Hyperchloremic hypokalemic metabolic alkalosis
3. Hypochloremic hypokalemic metabolic acidosis
4. Hyperchloremic hypokalemic metabolic acidosis

Correct answer: 1. Hypochloremic hypokalemic metabolic alkalosis

Explanation: Answer- A. Hypochloremic hypokalemic metabolic alkalosisProiectile nonbillotrs vomiting is the initial synptoms of pyloric stenosis, The vomiting usually starts alter 3 weeks of age, but symptoms may develop as early as the lst week of life and as late as the 5 months of life.Hpyochloremic hypokalemic metabolic alkalosis.